Most commonly foreign body lodges in which part of esophagus?
1. Where it crosses the aortic arch
2. Cricopharyngeus
3. Where it is crossed by left bronchus
4. Where it pierces the diaphragm

Correct answer: 2. Cricopharyngeus

Explanation: Ans. B CricopharyngeusRef: BDC, 6th ed. vol. I pg. 282* The first constriction present at the root of the neck is bounded by Cricopharyngeus muscle. Foreign body most commonly lodges here because of its strong constriction.The Esophagus Shows 4 Constrictions at the Following Levels1. At its beginning, 15 cm from the incisor teeth2. Where it is crossed by the aortic arch, 22.5 cm from the incisor teeth3. Where it is crossed by the left bronchus, 27.5 cm from the incisor teeth4. Where it pierces the diaphragm 37.5 cm from the incisor teeth.Extra Mile* Most common foreign body which lodges in esophagus is food particle.